Macrocytosis is seen in all of the following disorders, except –
1. Hypothyroidism
2. Thalassemia major
3. Folic acid deficiency
4. B12 deficiency

Correct answer: 2. Thalassemia major